In revised guideline for Behcet's disease, which criterion carries 2 points?
1. Ocular lesions
2. Neurological lesions
3. Vasculitis
4. Skin lesion

Correct answer: 1. Ocular lesions

Explanation: Bechet's Disease: A painful aphthous ulcer- aka oroculoGenitalSyndrome Sign / symptom Points Ocular Lesions Genital aphthosis Oral aphthosis Skin lesions Neurological manifestations Vascular manifestations Positive pathergy test* 2 2 2 1 1 1 1* *Pathergy test is optional and the primary scoring system does not include pathergy testing. However, where pathergy testing is conducted one extra point may be assigned for a positive result. Pathergy Test: Site: Commonly volar aspect of foreman Intradermal injection of 0.1ml isotonic salt solution using 20 G needle without prior disinfection of the injection of the injection site. 3-5 mm intradermally, at an angle of 45 degree. Reading - after 24-48 hours +ve result-Erythematous papule or pustule (>2 mm) at pick site.